The cause of systemic secondary insult to injured brain include all of the following except:
1. Hypercapnia
2. Hypoxemia
3. Hypotension
4. Hypothermia

Correct answer: 4. Hypothermia

Explanation: Causes of secondary Brain injury Hypoxia: pO2 < 8kPa Hypotension: SBP < 90 mmHg Raised ICP: ICP>20mmHg Low cerebral perfusion pressure: CPP<65mmHg Hypercapnia Pyrexia(Hyperthermia) Seizures Metabolic disturbances (Hyperglycemia) Ref: Bailey 25th edition Pgno: 299